Glands of Van Ebner are present in
1. Cervix
2. Penile uretha
3. Tongue
4. Vagina

Correct answer: 3. Tongue

Explanation: The minor salivary glands are numerous and are widely distributed in the mucosa of oral cavity. Some of the minor salivary glands are the Von Ebner's gland in tongue, buccal glands in cheeks and labial glands in lips. REF : Inderbir Singh's Textbook of Human Histology, Seventh edition, pg.no., 251.